The treatment of acute myocardial infarction includes which of the following.-
1. Aspirin
2. Heparin
3. ACE inhibitors
4. All of the above

Correct answer: 4. All of the above